A patient having Glasgow score of 12 is suffering from
1. Minor head injury
2. Mild head injury
3. Moderate head injury
4. Severe head injury

Correct answer: 3. Moderate head injury

Explanation: Severity of head injury is classified according to the Glasgow Coma Score (GCS), as the GCS – and in particular the motor score – is the best predictor of neurological outcome:
- Minor head injury: GCS 15 with no loss of consciousness (LOC);
- Mild head injury: GCS 14 or 15 with LOC;
- Moderate head injury: GCS 9–13;
- Severe head injury: GCS 3–8.